Variable portion of antibody molecule is -
1. C-Terminal
2. N-Terminal
3. CHO moiety
4. None

Correct answer: 2. N-Terminal